Neurological status is assessed under which step of ABCDE of trauma care?
1. A
2. B
3. C
4. D

Correct answer: 4. D

Explanation: A - Airway maintenance and cervical spine protection
B - Breathing and ventilation
C - Circulation with haemorrhage control
D - Disability: neurological status
E - Exposure: completely undress the patient and assess for other injuries